Retrocardiac lucency with air-fluid level is seen in
1. Hiatus hernia
2. Distal end esophageal obstruction
3. Eventration of diaphragm
4. Zenker's diverticulum

Correct answer: 1. Hiatus hernia

Explanation: The gastric fundus when displaced above the diaphragm, presents as a retrocardiac mass on a chest radiograph. The presence of an air-fluid level in the mass suggests the diagnosis. ref - Harrisons internal medicine 20e pg 2211